Power of a reduced eye is normally:
1. 20-D
2. 35-D
3. 18-D
4. 58-D

Correct answer: 4. 58-D

Explanation: D i.e. 58 Dioptres The total diopteric power of eye is about + 58.6D (-60 D) Q, out of which + 44 D is contributed by cornea and +16 D by the lens Q